A 5-year-old girl is brought to your Primary Health care Centre of St. Johns office by her mother who states that the child has a runny nose, barking cough, and a sore throat. Your examination indicates that respiration is laboured. None of her three siblings is sick. The most probable viral cause of her symptoms is:
1. Adenovirus
2. Influenza virus
3. Parainfluenza virus
4. RSV

Correct answer: 3. Parainfluenza virus

Explanation: The child's symptoms are those found with croup caused by Parainfluenza virus. Acute Laryngo-Tracheo-Bronchitis / Croup: Causative organism:Parainfluenza virus type I and II. Symptoms: Upper respiratory tract infection with Hoarseness and croupy cough. Fever 39-40oC. Difficulty in breathing and inspiratory type of stridor. Signs of upper airway obstruction. Steeple Sign on X-ray.